Following is/are the causes of a chronic cough with noncontributory chest radiograph?
1. Asthma
2. Post nasal drip
3. GERD
4. All the above

Correct answer: 4. All the above

Explanation: 90% of patients who have a chronic cough and a normal or noncontributory chest radiograph belong to one of the following causes:Use of an angiotensin-converting enzyme inhibitor;Post -nasal drainage;Gastroesophageal reflux; andAsthmaRef: PL Dhingra, Diseases of Ear, Nose & Throat, 7th edition